In Moore's classification of omphalocole (examphalos), type I umbilical defect is less than .... cm.
1. 0.5
2. 2.5
3. 3.5
4. 4.5

Correct answer: 2. 2.5

Explanation: Ans. is b i.e. 2.5 Moore suggested a classification of omphalocele into types 1, 2 and 3 with the diameters of < 2.5cm, 2.5 to 5 cm and > 5 cm respectively.